OKUDA staging is for?
1. HCC
2. Pancreatic cancer
3. Hepatoblastoma
4. RCC

Correct answer: 1. HCC

Explanation: Ans. (a) HCCRef: Sabiston 19th Edition Page 1256* Classification systems used in HCC:# OKUDA staging# Barcelona Clinic Liver Clinic (BCLC) staging# CLIP staging (Cancer of Liver Italian Group Staging)